DPP-4 inhibitor that can be used in renal failure is:
1. Linagliptin
2. Sitagliptin
3. Vildagliptin
4. Sexagliptin

Correct answer: 1. Linagliptin

Explanation: DPP-4 inhibitors: Competitive and selective inhibition of DPP-4 which potentiates the action of GLP- 1 and GIP, boosts postprandial insulin release, decreases glucagon secretion and lowers meal-time as well as fasting blood glucose in type 2 diabetics. Eg.: Sitagliptin, Vildagliptin, Saxagliptin, Alogliptin, Linagliptin. Only Linagliptin is safe in renal failure. MC S/E of Gliptins: Nasopharyngitis.